The following teeth typically grow in 20 to 30 months of age -
1. First molar
2. Lateral upper incisor
3. Second molar
4. Lateral lower incisor

Correct answer: 3. Second molar

Explanation: 2nd molar erupts at 20-30 months in temporary (milk) teeth.